Occlusal interferences can be defined by all of the following except:
1. Occlusal contact relations that interfere with function.
2. Interference to jaw closure into the intercuspal position.
3. Interferences to laterotrusive movements.
4. Interferences to jaw opening.

Correct answer: 4. Interferences to jaw opening.

Explanation: Occlusal contact relations do not interfere with jaw opening, but TMJ and muscle disorders may.